Out of 20 children that went to a party, 11 developed abdominal pain, diarrhea with nausea and vomiting around 6 hours after food intake. Most likely causative agent:
1. Rotavirus
2. Staphylococcus
3. Streptococcus
4. Clostridium perfringens

Correct answer: 2. Staphylococcus

Explanation: Bacterial Food PoisoningIncubation period, organismSymptomsCommon sources1-6 HStaphylococcus aureusNausea, vomiting, diarrheaHam, poultry, potato or egg salad, mayonnaise, cream pastriesBacillus cereusNausea, vomiting, diarrheaFried rice8-16 HClostridium perfringensAbdominal cramps, diarrhea (vomiting rare)Beef, poultry, legumes, graviesB. cereusAbdominal cramps, diarrhea (vomiting rare)Meats, vegetables, dried beans, cereals> 16 HVibrio choleraeWatery diarrheaShellfishEnterotoxigenic Escherichia coliWatery diarrheaSalads, cheese, meats, waterEnterohemorrhagic E. coliBloody diarrheaGround beef, roast beef, salami, raw milk, raw vegetables, apple juiceSalmonella spp.Inflammatory diarrheaBeef, poultry, eggs, dairy productsCampylobacter jejuniInflammatory diarrheaPoultry, raw milkShigella sppDysenteryPotato or egg salad, lettuce, raw vegetablesVibrio parahaemolyticusDysenteryMollusks, crustaceans